Sinus arrhythmia occurs:-
1. Due to sympathetic overstimulation
2. Due to change in respiration
3. Due to change in body temperature
4. None

Correct answer: 2. Due to change in respiration

Explanation: During inspiration & Expiration Patient's heart rate tends to change, so respiration can trigger sinus arrythmia During inspiration=JVP fall, BP fall, HR|